Drugs to be avoided in G6PD deficiency is -
1. Dapsone
2. Metformin
3. Pregabalin
4. Rituximab

Correct answer: 1. Dapsone

Explanation: Ans. is 'a' i.e., Dapsone Drugs causing hemolytic Anaemia in G-6-PD deficiencyo Aminosalicylic acido Nalidixic acido Sulfonamides (Sulfamethoxazole)o Antimalarials - Primaquine,Quinineo Nitrofurantoino Analgesics - Aspirin, Acetanilido Phenacetino Vitamin K (water soluble form)o Chloramphenicolo Probenecido Methylene blueo Cotrimoxazoleo Procainamideo Niridazole - Phenazopyridineo Dapsoneo Quinidineo Doxorubicin